Antipsychotic induced "akathisia" is characterized by:
1. Rigidity
2. Tremor
3. Spasm of muscle/muscle group
4. Restlessness

Correct answer: 4. Restlessness

Explanation: Antipsychotic induced akathisisa is characterized by motor restlessness. It is often mistaken for anxiety and agitation. Akathisia is now observed most often in patients receiving neuroleptic drugs. The main diagnostic considerations are an agitated depression, particularly in patients already on neuroleptic medications, and the "restless legs" syndrome--a sleep disorder that may be evident during wakefulness in severe cases. Patients with the restless leg syndrome describe a crawling or drawing sensation in the legs rather than an inner restlessness, although both disorders create an irresistible desire for movement. At times these distinctions are blurred. Many of the medications used for the restless legs syndrome are propoxyphene or clonazepam or treatment can be directed to the akathisia by selecting a less potent neuroleptic (if it is the suspected cause) or by using an anticholinergic medication, amantadine or perhaps the more effective and best tolerated--beta-adrenergic-blocking drugs. Ref: Ropper A.H., Samuels M.A. (2009). Chapter 6. Tremor, Myoclonus, Focal Dystonias, and Tics. In A.H. Ropper, M.A. Samuels (Eds), Adams and Victor's Principles of Neurology, 9e.